Alpha-fetoprotein is a tumor marker for
1. Hepato cellular carcinoma
2. Multiple myeloma
3. Seminoma
4. Breast carcinoma

Correct answer: 1. Hepato cellular carcinoma

Explanation: Answer- A. Hepato cellular carcinomaAlpha-feto protein (AFP)AFP is a well estabilished tumor markerIt is a glycoprofein synthesized normaily early in fetal life by the yolk sac, fetal liver and fetal GIT.AFP is raised in -Carcinomas > Liver Ca, Lung Ca, Colon Ca, Pancreatic Ca, Non-seminoma germ cell tumor of testis.Non-neoplastic conditions > Cirrhosis, Hepatitis, Pregnancy